Which of the following is not seen in ARDS:
1. Pulmonary edema
2. Hypoxemia
3. Stiff lung
4. Hypercapnia

Correct answer: 4. Hypercapnia

Explanation: Answer is D (Hypercapnia): ARDS results in Type I Respiratory failure and is characterized by normal or h>>*, PaCO2 (Hypocapnia) and not Hypercapnia. Reduced compliance (Stiff lung), Hypoxemia and Non-Cardiogenic Pulmonary Edema are typical features of ARDS.